Drug of choice for Neutropenia due to cancer chemotherapy:
1. Vitamin B-12
2. IL 11
3. Filgrastim
4. Erythopoie tin

Correct answer: 3. Filgrastim

Explanation: Filgrastim